Beta phage is seen in -
1. Bacillus anthracis
2. Corynebacterium diphtheriae
3. Clostridium botulinum
4. Peptostreptococci

Correct answer: 2. Corynebacterium diphtheriae

Explanation: Ans. is 'b' i.e., Corynebacterium diphtheriae o The toxigenicity of the diphtheria bacilli depends on the presence in it of corynephages (tox +). Nontoxigenic strains may be rendered toxigenic by infecting them with beta phage or some other larger phage. This is known as lysogenic conversion or phage conversion.